How many axes in DSM 4
1. 2
2. 3
3. 4
4. 5

Correct answer: 4. 5

Explanation: ICD ICD mentions International classification of mental and behavioural disorders this was given by WHO( World health Organisation) ICD is used all over the world except America latest edition of ICD is ICD11 ICD 11 was released in 2018 DSM DSM mentions Diagnostic and Statistical manual of mental disorders this was given by APA( American Psychiatric Assosiation) DSM is used in America latest edition of DSM is DSM 5 DSM 5 was released in 2018 according to DSM IV TR there is an multi axial system for diagnosis AXIS I====== major psychiatric disorders AXISII======personality patterns and intellectual disability AXIS III=====general medical condition AXIS IV=====psycho social stressors AXIS V=====GAF( Global Assesment of Functioning) Reference: A short textbook of psychiatry by Niraj Ahuja, seventh edition, page 4.